A patient with positive antiphospholipid antibodies would have all the following EXCEPT
1. Recurrent foetal loss
2. Venous thrombosis
3. Thrombocytosis
4. Neurological complications

Correct answer: 3. Thrombocytosis

Explanation: Common obstetric complications associated with antiphosphoid syndrome 1. Recurrent fetal loss 2. IUGR 3. PIH 4. Placental abruption (2nd trimester) 5. Recurrent thrombotic events (Arterial venous thrombosis) 6. Thrombocytopenia 7. Auto immune or connective tissue diseases